Heparin is -
1. Polysaccharide
2. Lipoprotein
3. Monosaccharide
4. Polyenoic acid

Correct answer: 1. Polysaccharide

Explanation: Ans. is `a' i.e., Polysaccharide o Heparin is mucopolysaccharide.